"Xerostomia" is seen in all of the following EXCEPT in
1. Anticholinergic drugs
2. Dehydration
3. Sjogren's syndrome
4. Oral sepsis

Correct answer: 4. Oral sepsis